Pulm edema associated with normal PCWP is observed, which of these is not a cause -
1. High altitude
2. Cocaine overdose
3. Post cardiopulmonary bypass
4. Bilateral renal artery stenosis

Correct answer: 4. Bilateral renal artery stenosis